Which of the following best describes angiotensin converting enzyme?
1. It is a Zinc containing enzyme and cleaves C-terminal of AT 1
2. It is a Zinc containing enzyme and cleaves the signal portion of AT-1
3. It is a Copper containing enzyme and cleaves C-terminal of AT 1
4. It is a Copper containing enzyme and cleaves the signal portion of AT-1

Correct answer: 1. It is a Zinc containing enzyme and cleaves C-terminal of AT 1

Explanation: Angiotensin converting enzyme is a zinc containing protease that cleaves carboxy terminus dipeptides from from angiotensin I and bradykinin. Also know: Angiotensin converting enzyme is a dipeptidyl carboxypeptidase which splits off histidyl-leucine from the physiologically inactive angiotensin I forming the octapeptide angiotensin II. It also inactivates bradykinin. ACE is an ectoenzyme which exists in two forms i.e a somatic form found throughout the body and a germinal form found in postmeiotic spermatogenic cells and spermatozoa. Germinal ACE is a 90-kDa protein that has only one extracellular domain and active site. Somatic ACE is a 170-kDa protein with two homologous extracellular domains, each containing an active site. Ref: Ganong's Review of Medical Physiology, 24e, chapter 38